Most common precipitant of contact dermatitis is -
1. Gold
2. Nickel
3. Silver
4. Iron

Correct answer: 2. Nickel

Explanation: nickel is the most common sensitisers all over the world. the prevelance of nickel sensitivity varies from 4-13%. nickel produces allergic contact dermatitis. clinical presentation: exudative eczema, nummular eczema or dry lichenified eczema. lesions appear beneath earrings, bracelets, bangles, hairpins, rings, wrist watches,safetypins, buttons, stethoscopes. IADVL textbook of dermatology, contact dermatitis page 559